Which of the following fascia attatches the perirenal fascia to the peritoneum?
1. Gerota's fascia
2. Lateroconal fascia
3. Thoracolumbar fascia
4. Treitz's fascia

Correct answer: 2. Lateroconal fascia

Explanation: Lateroconal fascia attaches the perirenal fascia to the peritoneum.\ Lateroconal fascia extends from the lateral margin of perirenal fascia and attaches to the parietal peritoneum. Gerota's fascia is the perirenal fascia. The kidney and the suprarenal gland are enclosed within anterior and posterior lamina of the perirenal fascia. The anterior lamina of the perirenal fascia blends with the connective tissue surrounding the great vessels behind the duodenum and pancreas. The posterior lamina continues as the lateroconal fascia. Thoracolumbar fascia is a complex arrangement of multiple fascial layers in the thoracolumbar region. The fascia encloses the paraspinal muscles, quadratus lumbornum muscle and the lattisimus dorsi muscle.. Treitz's fascia has been used to refer to the fusion fascia behind the head of the pancreas Ref: Gray's Anatomy 41st edition Pgno: 1084